Major type of collagen in basement membrane:
1. Type I
2. Type II
3. Type III
4. Type IV

Correct answer: 4. Type IV

Explanation: Ans. D. Type IVKey points distribution of collagenType of collagen present in the noncartilaginous connective tissue, like bone, tendon: Type IType of collagen present in the Cartilage: Type IIType of collagen present in the vitreous humour: Type IIType of collagen present in the basement membrane: Mainly Type IV (rarely Type XIX)Type of collagen present in the dermal epidermal junction: Type VIIType of collagen present in the extensible connective tissue like skin, lung, vascular system: Type IIIType of collagen present in the hypertrophic cartilage: Type XType of collagen present in the skin hemidesmosomes: Type XVIIType of collagen present in the rhabdomyosarcoma cell: Type XIXType of collagen present in the brain: Type XXVType of collagen present in the testis and ovary: Type XXVI